Parachute lesions are seen in -
1. Eales disease
2. Diabetes
3. Sickle cell anemia
4. All of the above

Correct answer: 4. All of the above

Explanation: These are vasoproliferative lesions with a characteristic fan-shaped appearance, also called a "parachute" lesion. 1. Aortic arch syndrome (pulseless disease) 2. Carotid-cavernous fistula (carotid artery syndrome) *3. Central and branch retinal vein occlusion 4. Chronic myelocytic leukemia *5. Diabetes mellitus 6. Eales disease (periphlebitis) 7. Facioscapulohumeral muscular dystrophy (FSH syndrome) 8. Incontinentia pigmenti I (Block-Sulzberger syndrome) 9. Familial exudative vitreoretinopathy (Criswick-Schepens syndrome) 10. Hemoglobin C trait 11. Leukemia 12. Long-standing retinal detachment 13. Lupus erythematosus 14. Macroglobulinemia 15. Multiple sclerosis 16. Polycythemia vera (erythremia) *17. Retinopathy of prematurity 18. Sarcoidosis syndrome * 19. Sickle cell disease 20. Talc and cornstarch emboli 21. Uveitis, including pars planitis